Sociology -
1. Study of human relationship
2. Study of behavior
3. Both
4. None

Correct answer: 3. Both

Explanation: Ans. is 'c' i.e.. Both o Sociology' deals with the study of human relationships and of human behaviour,o Study of human relationships and human behaviour - Sociologyo Psychology of individuals living in human society - Social psychologyo Study of physical, social and cultural history' of man - Anthropology